Parasympathetic nerve supply to parotid salivary gland is by:
1. Otic ganglion
2. Lingual nerve
3. Inferior alveolar nerve
4. Deep temporal nerve

Correct answer: 1. Otic ganglion

Explanation: The parotid gland receives parasympathetic secretomotor innervation from preganglionic fibers that arise in the inferior salivatory nucleus. They travel in the lesser petrosal branch of the glossopharyngeal nerve. The lesser petrosal nerve exits the middle cranial fossa through the foramen ovale, where the preganglionic fibers synapse in the otic ganglion.Must know:The postganglionic fibers secretomotor fibres travel with the auriculotemporal nerve to supply the parotid gland. Ref: Snells, Clinical anatomy, 7th Edition, Page 775.